The instrument that is used to record the centre of condylar rotation along with a third reference point
1. Articulator
2. Face bow
3. Gothic arch tracer
4. None of the above

Correct answer: 2. Face bow